Exhumation order given by
1. Executive magistrate
2. Police officer
3. Sub. divisional magistrate
4. All of the above

Correct answer: 1. Executive magistrate

Explanation: A. i.e. (Executive magistrate) (1.7 - Parikh 6th)* Magistrate's inquest means an inquiry conducted by a magistrate to ascertain matters of fact. It is commonly held in the following cases.1. Admission of a mentally ill person in a psychiatric hospital or psychiatric nursing home under certain provisions of the Mental Health act - 19872. Death of a convict in Jail3. **Death of a person in police custody or during police interrogation4. Death as a result of police shooting / Killing5. ** Exhumation cases6. Dowry deaths (Sec 176. CrPC)EXHUMATION - is meant the lawful disinterment or digging out of a buried body from the grave* In India no time limit is fixed for exhumation , only magistrate or Coroner can order it** (2.90 - Parikh 6th)